Neuro lathyrism results due to
1. Aflatoxin
2. Pyruvic acid
3. BOAA
4. Sanguinarine

Correct answer: 3. BOAA